Subacute combined degeneration of spinal cord is due to deficiency of
1. VitaminA
2. Vitamin C
3. Vitamin B12
4. Vitamin B3(Niacin)

Correct answer: 3. Vitamin B12

Explanation: Ans. is 'c' i.e., Vitamin B12